Which of the following is true regarding De Quervain's tenosynovitis ?
1. Fingers are held in mild extension
2. It affects AbductorPollicisLongus and ExtensorPollicisBrevis
3. Most common involvement is index finger
4. Treatment is surgery

Correct answer: 2. It affects AbductorPollicisLongus and ExtensorPollicisBrevis

Explanation: De Quervain's disease is a stenosing tenosynovitis of the extensor tendons of the first dorsal compartment, namely extensor pollicis brevis (EPB) and abductor pollicis longus (APL). It is prominent among females, especially pregnant women. Most commonly thumb is involved. Finkelstein's test: On grasping the patient's thumb and quickly abducting the hand ulnar ward, the pain over the radial styloid tip is excruciating. It's the most pathognomic objective sign but is also seen in other condit like radial nerve entrapment and arhritis. Treatment Majority of the patients are treated medically Only few require the release of the 1st dorsal commpament which houses the APL and EPB tendons. Ref: Campbell's Operative Orthopedics 13th edition Pgno: 3765